A viral infection causes damage to both hippocampi in a patient. This damage would cause the patient to exhibit functional deficits in
1. Recalling an old declarative memory
2. Recalling an old procedural memory
3. Forming a new short-term memory
4. Forming a new long-term memory

Correct answer: 4. Forming a new long-term memory

Explanation: The hippocampus is crucial for the forma on of long-term (declarative) memory. Without the hippocampus, short-term memory is intact but the conversion to long-term does not take place. The retrieval of stored declarative memory does not require the hippocampus. The hippocampus is not needed for the forma on or retrieval of procedural memory. Ref: Ganong - Review of Medical Physiology 23rd Ed Page 372